Acantholysis, resulting from desmosome weakening by autoantibodies directed against the protein desmoglein, is the disease mechanism attributed to which of the following?
1. Epidermolysis bullosa
2. Mucous membrane pemphigoid
3. Pemphigus vulgaris
4. Herpes simplex infections

Correct answer: 3. Pemphigus vulgaris

Explanation: In pemphigus vulgaris, autoantibodies attach to antigens (desmoglein) found in desmosomes that keep keratinocytes linked to each other. Cells eventually separate from each other (acantholysis), resulting in short-lived intraepithelial vesicles/bullae.